Blood levels of progesterone are highest during _____.
1. The follicular phase of the ovarian cycle
2. The luteal phase of the ovarian cycle
3. Ovulation
4. Menstruation

Correct answer: 2. The luteal phase of the ovarian cycle

Explanation: Progesterone concentration in blood is highest following the surge of LH (leuteinizing hormone) following ovulation.
During ovulation, estrogen surges due to positive feedback during the follicular phase.
During menstruation, there are sharp declines in estrogen and progesterone due to reduced secretion of LH and FSH.